Maximum triglycerides are found in:
1. LDL
2. VLDL
3. HDL
4. Chylomicrons

Correct answer: 4. Chylomicrons

Explanation: Chylomicrons are the lipoprotein particles lowest in density and largest in size and that contain the highest percentage of lipid (as Triacyl glycerols) and the lowest percentage of protein.
Chylomicron

Maximum diameter
Least density
Most buoyant lipoprotein
Least protein content
Maximum triacylglycerol
Least electrophoretic mobility 
Least plasma half-life
Carry exogenous (dietary triacylglycerol from intestine to peripheral tissues)
Carry dietary cholesterol and cholesterol ester into the liver.

Ref: Lippincott’s illustrated reviews for biochemistry, 7th edition.